Best immediate management of hyperkalemia includes all except?
1. Calcium gluconate
2. Insulin drip
3. Salbutamol nebulization
4. MgSO4

Correct answer: 4. MgSO4

Explanation: Ans. D. MgSO4 * Calcium gluconate will antagonize the depressive effects of potassium on cardiac myocytes.* Insulin drip and salbutamol nebulization will reduce actual serum levels of potassium by sending potassium inside the cells* Magnesium sulfate has no role in management of hyperkalemia